All of the following are hepatic porphyrias EXCEPT?
1. Porphyria cutanea tarda
2. Acute intermittent porphyria
3. Variegate porphyria
4. Congenital erythropoietic porphyria

Correct answer: 4. Congenital erythropoietic porphyria

Explanation: Hepatic porphyrias include: Porphyria cutanea tarda Acute intermittent porphyria Variegate porphyria